The subtype of Hodgkin's disease, which is histogentically distinct from all the other subtypes, is -
1. Lymphocyte predominant
2. Nodular sclerosis
3. Mixed cellularity
4. Lymphocyte depleted

Correct answer: 1. Lymphocyte predominant

Explanation: Ans is 'a' i.e., Lymphocyte predominance Hodgkins lymphoma can be divided into two groups. Classical hodgkin lymphoma o This group includes (i) Nodular sclerosis (iii) Lymphocyte-rich (ii) Mixed cellularity (iv) Lymphocyte-depletion o The Reed-sternberg cells have similar immunophenotype, i.e., express CD 15 and CD 30. 2. Lymphocytic predominance Hodgkin lymphoma o The Reedsternberg cells express CD 20 marker, characteristic B-cell immunotype.